The following factors shift the oxygen dissociation curve to the right, except
1. Hypoxia
2. Acidosis
3. Increase in 2, 3-DPG
4. Alkalosis

Correct answer: 4. Alkalosis

Explanation: Oxygen saturation curve Physiology A curve that describes the relationship between Hb O2 saturation and tension; defined by a sigmoid curve which reflects the interaction of the 4 Hb molecules involved in O2 uptake, transport and release; a 'right shift' of the curve indicates | Hb affinity for O2, as occurs in | pH-ie,acidosis, | temperature, | PCO2, while a 'left shift' indicates | O2 affinity with | pH, | temperature, | 2,3 DPG and | PCO2Right shifts Acidosis, hyperthermia, alveolar hypoventilation, anemia Left shifts Alkalosis, hypothermia, hyperventilation,carboxyhemoglobinemia, hypophosphatemia, | fetal Hb.Ganong's Review of Medical Physiology; 24th edition; page no:642